All of the following hormones are secreted by the islet cells in the pancreas, EXCEPT:
1. Insulin
2. Somatostatin
3. Glucagon
4. Triacylglycerol hydrolase

Correct answer: 4. Triacylglycerol hydrolase

Explanation: The islet cells in the pancreas are the site of endocrine production. The primary hormones produced by these cells are insulin, glucagon, somatostatin, and pancreatic polypeptide all of which function in maintaining homeostasis in nutritional functions. The exocrine pancreas is the site of production of a number of proteases, amylases, and lipases of which triacylglycerol hydrolase is a member. Ref: Molina P.E. (2013). Chapter 7. Endocrine Pancreas. In P.E. Molina (Ed),Endocrine Physiology, 4e.